A young married female brought to emergency department with lower abdominal pain and severe dizziness and two episodes of syncope since last 12 hours. Blood pressure on arrival was 89/40 mm Hg and standing BP was not recordable and patient had near syncope on sitting position. Likely diagnosis you would like to rule out -
1. Acute appendicitis
2. Torsion ovaries
3. Acute pancreatitis
4. Ruptured ectopic pregnancy

Correct answer: 4. Ruptured ectopic pregnancy